Commonest part of subclavian artery to be affected by stenosis is
1. First part
2. Second Part
3. Third part
4. Equally affected

Correct answer: 1. First part

Explanation: Subclavian steal syndrome:- Obstruction of first part of subclavian artery. Vertebral artery provides collateral circulation to arm by reversing its blood flow. This causes cerebral ischemia with syncopal attacks , visual disturbances, dimnished BP in affected limb. More common on left side. Radial pulses on both sides become assymmetrical. Blood pressure on the diseased side will be 20 mm Hg less compared to normal side. Javid test- compression of carotid artery makes ipsilateral radial pulse feeble. {Reference: SRB's manual of surgery, 5th edition , page no. 189}